Which of the following is a vaccine preventable cancer?
1. Hepatocellular carcinoma
2. Renal cell carcinoma
3. Lymphoma
4. Kaposi sarcoma

Correct answer: 1. Hepatocellular carcinoma

Explanation: Ans: A (Hepatocellular Carcinoma) Ref: Harrison's Principles of Internal Medicine, 18th edExplanation:Risk Factors for Hepatocellular CarcinomaAlcoholism.Hepatitis B.Hepatitis C (25% of causes globally).Aftatoxin.Cirrhosis of the liver.Hemochromatosis.?Wiison's disease.RememberHepatitis B Vaccination can decrease the incidence of Hepatitis B and thus Hepatocellular carcinoma.Another vaccine preventable cancer is Human papilloma vaccine preventing cervical cancer.